Hereditary pancreatitis is characterised by all except
1. 30% leads to Chronic Pancreatitis
2. 80% penetrance
3. High risk for Pancreatic cancer
4. Autosomal recessive inheritance

Correct answer: 4. Autosomal recessive inheritance

Explanation: Hereditary pancreatitis is autosomal Dominant due to SPINK 1 mutation.